All are used for local infiltration except ?
1. Lidocaine
2. Ropivacaine
3. Dibucaine
4. Bupivacaine

Correct answer: 3. Dibucaine

Explanation: Ans. is 'c' i.e., Dibucaine